Hirsuitism is seen in all except:
1. Acromegaly
2. Hyperthyroidism
3. Arrhenoblastoma
4. PCOD

Correct answer: 2. Hyperthyroidism

Explanation: Ans. B: Hyperthyroidism Hirsutism can be caused by either an increased level of androgens, or an oversensitivity of hair follicles to androgens The following may be some of the conditions that may increase a woman's normally low level of male hormones: Polycystic ovary syndrome (the most common) Cushing's disease Tumors in the ovaries or adrenal gland Certain medications-Phenytoin, Danazol, Minoxidil Congenital adrenal hyperplasia Insulin resistance Stromal Hypehecosis - in postmenopausal women viii. Obesity: As there is peripheral conversion of androgens to estrogen in these patients, this is the same mechanism of PCOS Use of drugs like Tetrahvdrogestrinone